Food poisoning has occured due to ingestion of contaminated fried rice, most likely organism -
1. Staph aureus
2. Bacillus cereus
3. Vibrio parahemolyticus
4. Yersinia

Correct answer: 2. Bacillus cereus